All are the radiological sings of Urogenital TB Except
1. "Smudeged Papillae" and "Moth eaten Calyx"
2. "Putty Kidney"
3. "Saw tooth Ureter"
4. "Enlarged Bladder'

Correct answer: 4. "Enlarged Bladder'

Explanation: SIGNS OF UROGENITAL TB: Smudged" papillae= irregularities of the surface of papillae "Moth-eaten" calyx=caliceal erosion (early change) "Putty kidney" "Saw-tooth ureter", "beaded ureter"= alternating areas of strictures +dilatations "Corkscrew ureter"= marked tortuosity with strictures+dilatations "Pipestem ureter"= rigid a peristaltic short thick "Shrunken /thimble bladder"